A 35 yr old patient is having carcinoma lung with a past history of lung disease. Which of the following drugs should not be given?
1. Vinblastine
2. Bleomycin
3. Mithramycin
4. Adiramycin

Correct answer: 2. Bleomycin

Explanation: Refer KDT 6/e p827 Bleomycin can cause pulmonary fibrosis It should be avoided in patients of lung disease